Which of the following act(s) passed before 1980 – a)  ESI actb)  PNDT c)  Factories actd)  MTP acte) Air pollution act
1. acd
2. ad
3. bc
4. bde

Correct answer: 1. acd

Explanation: Important Health Legislations passed in India 

The Quarantine Act, 1870
The Vaccination Act, 1880
The Child Marriage Restraint (SARDA) Act, 1929
The Employees State Insurance (ESI) Act, 1948
The factories Act, 1948
The prevention of Food Adulteration (PFA) Act, 1954
o;The Immoral Traffic (Prevention) Act, 1956
The Indian Medical Council (Prof. Conduct and Ethics) Act 1956
The dowry Prohibition Act, 1961
The maternity Benefit Act, 1961
The Registration of Births and Deaths Act, 1969
The Medical Termination of Pregnancy (MTP) Act, 1971
The Narcotic Drugs and Psychotropic Substances Act, 1985
The Consumer Protection Act (COPRA), 1986
The Environmental Protection Act (EPA), 1986
The Mental Health Act, 1987
The Infant Milk Substitutes, Feeding Bottles and Infant Food (Regulation of production, supply and distribution) Act, 1992
The Protection of Human Rights Act, 1993
The Pre-conception and Pre-natal Diagnostic Techniques (Prohibition of Sex Selection)  Act, 1994
The Biomedical Waste (Management and Handling) Rules, 1998
The National Rural Employment Guarantee Act (NREGA), 2005
The protection of Women from Domestic Violence Act, 2005
The Right to Information (RTI) Act, 2005